Which type diabetes is HLA associated -
1. Type I diabetes
2. Type II diabetes
3. Malnutrition related type disease
4. Pregnancy related type diabetes

Correct answer: 1. Type I diabetes